LHRH analogue used in breast cancer is
1. Cetrorelix
2. Anastrozole
3. Leuprolide
4. Tamoxifen

Correct answer: 3. Leuprolide

Explanation: GnRH agonists: Goserelin, buserelin, nafarelin, triptorelin, leuprolide GnRH antagonists: cetrorelix, abarelix, degarelix ref KD Tripathi 8th ed